Kaposi sarcoma occurs with infection due to ?
1. 1-1HV8
2. HHV4
3. HHV2
4. HHV1

Correct answer: 1. 1-1HV8

Explanation: Ans. is 'a' i.e., HHV8 HHV 8 has been proposed in the etiology of Kaposi Sarcoma in AIDS patients